All of the following are pyrogenic cytokines, Except-
1. Interleuken 18 (IL-18)
2. Interleuken 6 (IL-6)
3. Tumor Necrosis Factor (TNF)
4. Interferon a (IFN-a)

Correct answer: 1. Interleuken 18 (IL-18)

Explanation: Ans. is 'a' i.e., Interleukin 18 (IL-18) Interleukin 18 is not a pyrogenic cytokine.